Paralytic ileus is characterized by all except-
1. No bowel sound on auscultation
2. No passage of flatus
3. Gas filled loops of intestine with multiple fluid levels
4. Loops of intestine are not seen d/t loss of peristalis

Correct answer: 4. Loops of intestine are not seen d/t loss of peristalis